Which of the following is the MOST common cause of sporadic viral encephalitis in adults?
1. Herpes virus
2. Enteroviruses
3. Ebstein-Barr virus
4. HIV

Correct answer: 1. Herpes virus

Explanation: The most commonly identified viruses causing sporadic cases of acute encephalitis in adults are herpesviruses (HSV, VZV, EBV). Note Frequently Asked: Enteroviruses (coxsackieviruses, echoviruses, and human enteroviruses 68-71) are the most commonly identified viruses causing sporadic cases of acute meningitis. Ref: Roos K.L., Tyler K.L. (2012). Chapter 381. Meningitis, Encephalitis, Brain Abscess, and Empyema. In D.L. Longo, A.S. Fauci, D.L. Kasper, S.L. Hauser, J.L. Jameson, J. Loscalzo (Eds), Harrison's Principles of Internal Medicine, 18e